Fencing attitude  in dead bodies is seen in?
1. Drowning
2. Strangulation
3. Burns
4. Throttling

Correct answer: 3. Burns

Explanation: Fencing attitude also called Boxers attitude is seen in Burns and high voltage electric shock. It occurs due to muscle protein coagulation. It doesn't differentiate between antemortem or postmortem burns.